Virilising tumours of the ovary are :
1. Arrhenoblastoma
2. Adrenal tumours of the ovary
3. Leydig cell tumour and Gynandroblastoma
4. All of the above

Correct answer: 4. All of the above

Explanation: All of the above